All can occur due to blunt trauma of eye except -
1. Berlin's edema
2. Angle recession
3. Sympathetic ophthalmitis
4. Rosette cataract

Correct answer: 3. Sympathetic ophthalmitis

Explanation: 1. Lids: Ecchymosis, Black eye, avulsion of the lid, traumatic ptosis. 2. Orbit: Fracture of the orbital walls, orbital haemorrhage, orbital emphysemas. 3. Lacrimal apparatus: Laceration of canaliculi, dislocation of lacrimal gland. 4. Conjunctiva: Subconjunctival haemorrhage, chemosis, lacerating tears of the conjunctiva. 5. Cornea: Abrasion, partial or complete corneal tear, deep corneal opacity. 6. Sclera: Scleral tear. 7. Anterior chamber: Traumatic hyphaema, Collapse of the anterior chamber following perforation. 8. Iris, pupil and ciliary body: Traumatic miosis, traumatic mydriasis, radiating tears in iris stroma, iridodialysis, traumatic aniridia, traumatic cyclodialysis, traumatic uveitis. 9. Lens: Vossius ring, Concussion cataract, Early rosette cataract, Late rosette cataract, Total cataract, Subluxation of the lens, Dislocation of the lens. 10. Vitreous: Traumatic vitreous degeneration, Traumatic vitreous detachment, Vitreous haemorrhage. . Retina: Commotio retinae (Berlin's oedema), retinal haemorrhages, retinal tears, retinal detachment, traumatic macular oedema, traumatic macular degeneration. sympathetic Ophthalmities is seen in perforating injuries. Ref.. Khurana 6/e p564